Fetal scalp blood pH of less than ......................... is abnormal :
1. 7.4
2. 7.3
3. 7.2
4. 7.35

Correct answer: 3. 7.2

Explanation: 7.2